Most common site for berry aneurysm rupture
1. Anterior circulation of brai
2. Posterior circulation of brain
3. Ascending aorta
4. Descending aorta

Correct answer: 1. Anterior circulation of brai

Explanation: Ans. is 'a' i.e., Anterior circulation of brain The most common sites in descending order of frequency are - Li Proximal portion of anterior communicating artery (at the junction of anterior communicating artery with cerebral artery) At the origin of the posterior communicating artery from the stem of the internal carotid artery. At the first major bifurcation of middle cerebral artery. At the bifurcation of internal carotid into middle and anterior cerebral arteries. Veibrobasilar bifurcation (3%)